Drug of choice for precocious puberty:
1. Cyproterone acetate
2. Danazol
3. Medroxyprogesterone
4. GnRH agonists

Correct answer: 4. GnRH agonists

Explanation: d. GnRH agonists(Ref: Nelson's 20/e p 2658)Nelson latest ed says: "Long-acting formulations of GnRH agonists, which maintain fairly constant serum concentrations of the drug for weeks or months, constitute the preparations of choice for treatment of central precocious puberty."